A 22-year-old woman is brought to the emergency department because of repeated bouts of vomiting. Physical examination shows dental caries, tooth erosion, and enlarged parotid glands. Laboratory studies show hypokalemia. metabolic alkalosis and increased serum bicarbonate. A chest radiograph reveals air in the mediastinum. 
Which of the following will most likely be present in this patient?
1. Full thickness, distal esophageal rupture
2. Lacerations in the mucosa at the junction of the stomach and the esophagus
3. Venous dilation in the submucosa
4. Visible rings and furrows in the esophagus

Correct answer: 1. Full thickness, distal esophageal rupture